True about ribozyme
1. Peptidayl transferase activity
2. Cuts DNA at specific sites
3. Participate in DNA synthesis
4. GTPase activity

Correct answer: 1. Peptidayl transferase activity

Explanation: Ribozymes are enzymes made up of RNA. Peptidyl transferase present in ribosomes is an example of ribozyme. They are catalytic RNA molecules with sequence-specific cleavage activity.Ref: DM Vasudevan - Textbook of Biochemistry for Medical Students, 7th edition, page no: 592